The clinical indications for tricyclic anti-depressants include all the following except
1. Enuresis In elderly subject
2. Neuropathic pain
3. Panic disorder
4. Uncontrolled seizure

Correct answer: 4. Uncontrolled seizure

Explanation: Antidepressants are used for endogenous depression, panic attacks, OCD, anxiety disorders, disorders of pain, premenstrual syndrome, nocturnal enuresis, smoking withdrawal. Ref: KD Tripathi 8th ed.